Drug of choice for maternal toxoplasmosis
1. Spiramycin
2. Pyrimethamine
3. Doxy + sulfadiazine
4. Trimethorpim sulphamethoxazole

Correct answer: 1. Spiramycin

Explanation: Ref: Text book of Obstetrics by D.C.Dutta. 7th ed. Pg. 297.Explanation:Treatment of choice for toxoplasmosis during pregnancy:Spiramycin 3 g/dayPyrimethamine 25mg + sulphadiazine 1 gQlD for 4-6 weeksPyrimethamine is not given in 1' trimesterMode of infection : Eating raw, Uncooked meat/ through cat feces/ Through placentaEffects on baby:HydrocephalusChorioretinitisCerebral calcificationsMicrocephalyIntellectual disability